Which of the following is not done in carcinoma esophagus?
1. Biopsy
2. pH - metry/monitoring
3. CT chest
4. PET scan

Correct answer: 2. pH - metry/monitoring

Explanation: CARCINOMA ESOPHAGUS: Squamous cell carcinoma of esophagus usually affects the upper two thirds;whereas, adenocarcinoma usually affects lower third of esophagus. Tobacco, alcohol, GERD & Obesity are some of the common etiological features. Bad prognosis if lymph nodes are involved. The most common presenting symptom is Dysphagia. INVESTIGATIONS: 1st investigation - Barium Swallow IOC for Dx - Endoscopy with biopsy IOC for staging - EUS IOC for staging in cases of obstructed lumen/ advanced stage: CECT IOC for distant metastasis - PET Scan